A 47-year-old woman presents to the emergency department with symptoms of new-onset transient right arm weakness and word-finding difficulty lasting 3 hours. She is also experiencing exertional dyspnea, and had a syncopal event 1 month ago. Her medical history is only remarkable for 2 uneventful pregnancies, and she is not taking any medications.Physical examination reveals normal vital signs, and no residual focal neurological deficits. The ECG and CT brain are normal but an echocardiogram reveals a cardiac tumor in the left atrium, it is pedunculated, and attached to the endocardium. Which of the following is the most likely cause of this lesion?
1. myxoma
2. sarcoma
3. rhabdomyoma
4. fibroma

Correct answer: 1. myxoma

Explanation: The myxoma is a solitary globular or polypoid tumor varying in size from that of a cherry to a peach. About 75% are found in the left atrium, and most of the remainder in the right atrium. The clinical presentation is with one or more of the classical triad of constitution symptoms (fatigue, fever, anemia), embolic events, or obstruction of the valve orifice.Sarcomas are the most common malignant tumors of the heart but are usually seen on the right side, while rhabdomyomas and fibromas are more commonly seen in children, and usually occur in the ventricles.